Percentage of cold thyroid nodules likely to be malignant:
1. 20%
2. 30%
3. 40%
4. 72%

Correct answer: 1. 20%

Explanation: Ans. 20%